The compound that consists of ribose linked by an N-glycosidic bond to N-9 of adenine is
1. A purine nucleotide
2. A pyrimidine nucleotide
3. Adenosine
4. AMP

Correct answer: 3. Adenosine